Penetrating neck trauma is
1. 2 cm deep
2. Damaging vital structure
3. Injury by sharp object
4. Violating platysma

Correct answer: 4. Violating platysma

Explanation: D i.e. Violating platysma